All develop from endodermal cloaca except
1. Rectum
2. Anal canal
3. Sigmoid colon
4. Primitive urogenital sinus

Correct answer: 3. Sigmoid colon

Explanation: Sigmoid colon develop from the hindgut Ref: Gray's 39e/p-1289